Atracurium is metabolized by -
1. Conjugation
2. Hoffman degradation
3. Pseudocholineaterase
4. Methylation

Correct answer: 2. Hoffman degradation

Explanation: Ans. B. Hoffman degradationThe unique feature of atracurium is inactivation in plasma by spontaneous non enzymatic degradation (Hofmann elimination).Consequently its duration of action is not altered in patients with hepatic/renal insufficiency or hyperdynamic circulation ---> Hence, preferred muscle relaxant for such patients as well as for neonates and the elderly.Atracuum is metabolised to laudanosine that is responsible for seizures.Cause histamine release > Hypotension, bronchoconstriction & flushing.